A 25 year old male is undergoing incision and drainage of abscess under general anaesthesia with spontaneous respiration. Which of the following is the most efficient anaesthetic circuit which can be used in this patient?
1. Mapleson A
2. Mapleson B
3. Mapleson C
4. Mapleson D

Correct answer: 1. Mapleson A

Explanation: The most efficient anaesthetic circuit which can used in this patient undergoing general anesthesia with spontaneous respiration is Mapelson A circuit. In Mapleson A or Magill circuit, free gas flow (FGF) enters the circuit near the reservoir bag and the APL valve is placed close to the patients face. This system is very efficient during spontaneous ventilation (SV), because the FGF needs to be only 0.7 to 1.0 times the patient's minute ventilation to avoid rebreathing. Use of this circuit is less efficient in case of rapid respiratory rate as in small children, and in controlled ventilation (CV). It should not be used in children less than 20kg because of the important apparatus dead space. Ref: Pediatric Anesthesia By Bruno Bissonnette, Page 635 ; Fundamentals of Anaesthesia By Tim Smith, Colin Pinnock, Ted Lin, 3rd Edition, Pages 843-44